The drug which blocks both H1 and 5ht2 receptor is
1. Phenoxybenzamine
2. Cyproheptadine
3. Ritanserin
4. Ondonsetron

Correct answer: 2. Cyproheptadine

Explanation: Cyproheptadine is an antihistamine used to relieve allergy symptoms such as watery eyes, runny nose, itching eyes/nose, sneezing, hives, and itching. It works by blocking a certain natural substance (histamine) that your body makes during an allergic reaction. Refer kDT 7/e p170